Osiander's sign is positive in?
1. First trimester of pregnancy
2. Fibroid
3. Hydatidiform mole
4. Abdominal pregnancy

Correct answer: 1. First trimester of pregnancy

Explanation: The pelvic changes are diverse and appear at different periods during pregnancy. There is increased pulsation, felt through the lateral fornices at 8th week called Osiander's sign. Similar pulsation is also felt in acute pelvic inflammatory disease. Ref: Textbook of Obstetrics D.C.Dutta 6th Ed Page 65.